A 14 year old boy starts cleaning his room regularly because he wants to avoid the scolding of mother. This is called as-
1. Positive reinforcement
2. Negative reinforcement
3. Punishment
4. Extinction

Correct answer: 2. Negative reinforcement

Explanation: Negative reinforcementis a method that can be used to help teach specific behaviors. With negative reinforcement, something uncomfortable or otherwise unpleasant is taken away in response to a stimulus. Over time, the target behavior should increase with the expectation that the unpleasant thing will be taken away.